Transovarian transmission is a feature of?
1. Scrub fever
2. Epidemic typhus
3. Endemic typhus
4. Trench fever

Correct answer: 1. Scrub fever

Explanation: Ans. is 'a' i.e., Scrub typhus o Orientia tsutsugamushi is transmitted trans ovarially in mites. o Transovarian transmission is seen in : o Scrub typhus o Rickettsial pox o Indian tick typhus o Q. fever Rocky mountain spotted fever